Regarding dihydroartemisinin pharmacokinetics, all are true except:-
1. Dose adjustment is not required in hepatic or renal failure
2. Has a long half life
3. Oral bioavailability is around 30%
4. Autoinduction of metabolism

Correct answer: 2. Has a long half life

Explanation: Dihydroartemisinin * It has potent schizontocidal action.* These drugs are lethal to early malarial gametes but not mature ones.* They do not kill vivax hypnozoites* The duration of action is short and recrudescence rate is high.* Dose adjustment is not required in hepatic or renal failure.* Oral bioavailability is around 30%* Auto induction of metabolism.